Pulp capillary pressure
1. 14 cm of H2O
2. 25 cm of H2O
3. 80 cm of H2O
4. 120 cm of H2O

Correct answer: 1. 14 cm of H2O